Ideal temperature for DPT storage -
1. Room temperature
2. 2-8 oC
3. 0 to 20 oC
4. None

Correct answer: 2. 2-8 oC

Explanation: DPT should be stored in a refrigerator between 2 to 8oC. Ref: PARK'S TEXTBOOK OF PREVENTIVE AND SOCIAL MEDICINE 23rd edition , Page :162